Intravenous resuscitation is needed for any child with burn greater than:
1. 10% total body surface area
2. 20% total body surface area
3. 25% total body surface area
4. 35% total body surface area

Correct answer: 1. 10% total body surface area

Explanation: - In children with burns over 10% total body surface area and adults with burns over 15% total body surface area, consider the need for intravenous fluid resuscitation.